Avascular structure of the eye is -
1. Conjuctiva
2. Ciliary body
3. Cornea
4. Retina

Correct answer: 3. Cornea

Explanation: Ans. is 'c' i.e. Cornea o Lens and cornea are avascular structures of eye, that's why fluorescein angiography can't be used to identify lesions.